Urea breath test is done in:
1. Ketoacidosis
2. H. pylori infection
3. Kidney disease
4. Liver disease

Correct answer: 2. H. pylori infection

Explanation: The urea breath test is a rapid diagnostic procedure used to identify infections by Helicobacter pylori, a spiral bacterium implicated in gastritis, gastric ulcer, and peptic ulcer disease. 
It is based upon the ability of H. pylori to convert urea to ammonia and carbon dioxide.